Oral hypoglycemic which should be stopped prior to surgery under GA:
1. Pioglitazone
2. Metformin
3. Gliclazide
4. Glibenclamide

Correct answer: 2. Metformin